HLA is present on-
1. Short term of chromosomes 3
2. Short arm of chromosomes 6
3. Long arm of chromosomes 3
4. Chromosome 15

Correct answer: 2. Short arm of chromosomes 6

Explanation: Reference :Robbins basic pathology 9th edition pg no 102 :loci named HLA A,HLA B and HLA C.Each of these molecules it's a hetero dimer consisting of polymorphic 44kDa alpha chain noncovalently associated with an invariant 12 kDa beta2 microglobulin polypeptide (encoded by a separate gene on chromosome 15)